The number of bacteria in the oral cavity is greater
1. in the morning
2. after meals
3. at night
4. after brushing

Correct answer: 1. in the morning